What is the nongenomic effect of testosterone on vascular smooth muscle?
1. Vasodilation
2. Vasoconstriction
3. Increase in prostaglandins
4. Increase in estrogen receptors

Correct answer: 1. Vasodilation

Explanation: Testosterone causes vasodilation by inhibiting L-type calcium channels to inhibit calcium influx into the cells, thus causing vasodilation